Cyanides mainly affect the enzyme:
1. G-6-P dehydrogenase deficiency
2. Isomerase
3. Cytochrome oxidase
4. None of the above

Correct answer: 3. Cytochrome oxidase

Explanation: Cytochrome oxidase